In a patient with NIDDM which of the following condition is seen-
1. Ketosis commonly occurs on stopping treatment
2. Hypertriglyceridmia never occurs
3. Pancreatic beta cells stop producing insulin
4. There are increased levels of insulin in blood

Correct answer: 4. There are increased levels of insulin in blood

Explanation: Ans is option 4 - increased insulin level in blood is seen Increased levels of insulin in blood may be seen in patients with type 2DM or NIDDM Insulin resistance is involved in NIDDM. So to maintain glucose level there is increased secretion and there is increased level of insulin is seen in patients with type 2 DM. Ref Harrison 17 /2280,2281,2282